The following condition is not associated with an increased anion-gap type of metabolic acidosis :
1. Shock
2. Ingestion of ante-freeze
3. Diabetic keto-acidosis
4. COPD

Correct answer: 4. COPD

Explanation: Answer is D (COPD) In COPD Blood pH is usually maintained within normal range in spite of increased PaCO2 because of renal compensation which leads to retention of bicarbonates - API/6th/232